Patient presents with neck swelling and respiratory distress few hours after a thyroidectomy surgery. Next management would be:
1. Open immediately
2. Tracheostomy
3. Wait and watch
4. Oxygen by mask

Correct answer: 1. Open immediately

Explanation: In this case, the swelling is due to tension haematoma which is a complication of thyroidectomy. Hence the resulting complication will be respiratory obstruction secondary to laryngeal oedema. Ref: Harrison's Internal Medicine, 18th Edition, Page 362; bailey and Love's Short Practice of Surgery, 25th Edition, Page 790, 794 and 23rd Edition, Page 727.